Cause of Tuberculosis of fallopian tube is due to
1. Hematogenous spread
2. Lymphatic spread
3. Ascending infection
4. Primary infection

Correct answer: 1. Hematogenous spread

Explanation: Hematogenous from other primary sources